An asymptomatic 3-yrs-old is brought to you because of right cheek swelling. The mother states that the patient had been in his normal state of health until 1 hour ago, when he developed right cheek swelling. The patient is afebrile. Examination is unremarkable except for the right cheek, which is erythematous but not warm to touch. On palpation of the right cheek, mildly tender, discrete, indurated masses are appreciated. Which is the most likely cause?
1. Erysipelas
2. Cellulitis
3. Trauma
4. Panniculitis

Correct answer: 4. Panniculitis

Explanation: Panniculitis is secondary to cold injury to fat and is characterized by the development of indurated lesions that resemble buccal cellutitis. Young children who hold popsicles in their mouths may be prone to panniculitis. Erysipelas is an acute, well-demarcated infection of the skin with lymphangitis. The patient with erysipelas usually appears ill with fever, vomiting, and irritability. Cellulitis usually has distinct margins and is tender, indurated, and warm to touch. There is no history of trauma, nor is there any evidence of bruising or abrasions. Contact dermatitis has an erythematous or papulovesicular rash in area that was exposed to contactant